Which of the following developmental reflexes does NOT disappear in a child?
1. Landau reflex
2. Palmar grasp
3. Tonic neck reflex
4. Parachute reflex

Correct answer: 4. Parachute reflex

Explanation: The age of appearance of some reflexes are given below: 1) Landau reflex - appears at 10 months and disappears at 24 months 2) Palmar grasp - appears at birth and disappears at 6 months 3) Tonic neck reflex - appears at birth and disappears at 9 - 10 months 4) Parachute reflex - appears at 8 - 9 months and persists in normal child Note: Parachute reflex is absent in children with spastic type cerebral palsy. Ref: Meharban singh, 3rd Edition, Page 73